All of the following are functions of voluntary health agencies except
1. Supplementing the work of government agencies
2. Pioneering
3. Demonstration
4. Fund collection

Correct answer: 4. Fund collection

Explanation: The type of service rendered by voluntary health agencies have been classified asa)Supplementing the work of government agenciesb)Pioneeringc)Educationd)Demonstratione)Guarding the work of government agenciesf)Advancing health legislationPark 23e pg: 915